Enzyme which cleaves C-C bond :
1. Lyase
2. Ligase
3. Transferase
4. Isomerase

Correct answer: 1. Lyase

Explanation: Lyase enzyme breaks C-C bond. E.g. Aldolase, Synthase . In this case ATP is not used. There are seven groups of enzymes (IUBMB classification): Oxidoreductases: catalyze oxidations and reductions Transferases: catalyze the transfer of groups such as glycosyl or methyl group Hydrolases: catalyze hydrolytic cleavage of C-C, C-O, C-N, and other covalent bonds Lyases: catalyze the cleavage of C-C, C-O, C-N, and other covalent bonds by atom elimination, thereby generating double bonds Isomerases: catalyze structural changes within a molecule Ligases: catalyze the joining together of two molecules in reactions Translocases: catalyze the movement of molecules or ions across membranes